FC FFG, FFFG ... used to describe-
1. Primer
2. Cartridge
3. Black gunpowder
4. Base of firearms

Correct answer: 3. Black gunpowder

Explanation: Depending on fineness, the black gun powder is designated as FG, FFG, FFFG etc (F = fineness).